Which non depolarizing agent is a ganglion blocker
1. Atracurium
2. Pancuronium
3. D-TC
4. Gallamine

Correct answer: 3. D-TC

Explanation: Ans. is 'c' i.e., D-TC o Maximum ganglion blockade is caused by -4 d-TC